Conjugated hyperbilirubinemia in infancy is seen in-
1. Gilbert syndrome
2. Criggler najjar syndrome
3. Dubin Johnson syndrome
4. All

Correct answer: 3. Dubin Johnson syndrome

Explanation: Ans. is 'c' i.e., Dubin Johnson syndrome